Definite markers for hepatoblastoma is:
1. LDH
2. Alpha-fetoprotein (AFP)
3. hCG
4. Alkaline phosphatase

Correct answer: 2. Alpha-fetoprotein (AFP)

Explanation: Ans: B (Alpha-fetoprotein (AFP)) "A valuable serum tumor marker, AFP is used in the diagnosis & monitoring of hepatic tumors AFP is elevated in almost all hepatoblastomas"- Nelson 18th/2155"Serum AFP is elevated in 85-90% of patients & cm serve as a useful marker for therapeutic response*"- Sabiston 18th/1507HepatoblastomaHepatoblastoma is the most common primary hepatic tum or of childhood'. Rare cases of adult hepatoblastoma have been reported, but overall, the median age of presentation is 18 months, & almost all cases occur before the age of 3 years.Recently it has been a/w familial polyposis syndrome.Most often, this tumor presents as an asymptomatic mass It arise from right lobe 3 times more than left